The age at which a child can make a tower of 9 cubes and draw a circle is
1. 24 months
2. 30 months
3. 36 months
4. 42 months

Correct answer: 3. 36 months

Explanation: Key fine motor developmental milestones4mo - Bidextrous reach (reaching out for objects with both hands)6mo - Unidextrous reach (reaching out for objects with one hand); transfers objects9mo - Immature pincer grasp; probes with a forefinger12mo - Pincer grasp mature15mo- Imitates scribbling; tower of 2 blocks18 mo- Scribbles; tower of 3 blocks2 yr - Tower of 6 blocks; vertical and circular stroke3 yr - Tower of 9 blocks; copies circle4 yr - Copies cross; bridge with blocks5 yr- Copies triangle; gate with blocks Ref:Ghai 8e pg:50